Which of the following is NOT a prognostic factor for acute pancreatitis?
1. Hypocalcemia
2. Hyperglycemia
3. AST elevation
4. Increased serum amylase

Correct answer: 4. Increased serum amylase

Explanation: The prognostic factors considered for predicting the severity of acute pancreatitis are : Arterial PaO2 less than 60 mmHg LDH more than 600 IU/L AST more than 200 IU/L WBC more than 15,000/mm3 Serum albumin less than 3.2gm/dl Serum calcium less than 8 mg/dl Blood glucose more than 180 mg/dl Blood urea more than 45 mg/dl Ref: Grading and Staging in Gastroenterology By Guido N. J. Tytgat, page 300.